Which disorder is associated with convulsions cataract and intellectual disability?
1. Galactosaemia
2. Phenylketonuria
3. Tyrosinemia
4. Maple syrup disease

Correct answer: 1. Galactosaemia

Explanation: Galactosemia is associated with convulsions, cataract and intellectual disability. Uridyl transferase deficiency leads to galactosemia. Important features: Jaundice, hepatomegaly, vomiting, hypoglycemia, convulsions, lethargy, irritability, feeding difficulties, poor weight gain, aminoaciduria, cataract, vitreous hemorrhage, hepatic cirrhosis, ascites, splenomegaly, or intellectual disability.Patients with galactosemia are at increased risk for Escherichia coli neonatal sepsis.Transferase deficiency galactosemia is an autosomal recessive trait.